Which of the following drug is not used in Jorgenson technique:
1. Pentobarbitol.
2. Scopolamine.
3. Propofol.
4. Pethidine.

Correct answer: 3. Propofol.

Explanation: Jorgenson technique includes intravenous administration of opioids. The drugs used in Jorgenson technique are:

Pentobarbitol
Mepiridine
Scopalamine (Hyoscine)
Pethidine, etc.